Burn caused by moist heat is known as:
1. Scalds.
2. Scars.
3. Ordinary burn.
4. None.

Correct answer: 1. Scalds.